The primitive gut is a derivative of -
1. Yolk sac
2. Amniotic cavity
3. Allantoic cavity
4. Coelum

Correct answer: 1. Yolk sac